Which of the following is involved in cleavage of recombinant DNA
1. Helicases
2. Restriction enzyme
3. Ligases
4. All of the above

Correct answer: 2. Restriction enzyme

Explanation: (Restriction enzyme) (398-Harper 26,h) (187-NMS 4,h) (579- U.S.3rd)Restriction enzymes - are named after the bacterium from which they are isolated* **Each enzymes recognizes and cleaves a specific double stranded DNA sequence that is 4-7 bp long. These DNA cuts result in blunt ends or overlapping (sticky) ends* **Sticky ends are particularly useful in preparation of chimeric or hybrid DNA molecules* Restriction enzymes requires no additional energy from adenosine triphosphate or other energy source for cleavage (186-NMS 4,h)DNA iigases - It is essential tool in the formation of recombinant DNA clonesHelicases - Processive unwinding of DNA (328-HP)Some of the enzymes used in recombinant DNA research (400 HP)* Alk. phosphatase* Exonuclease III* Reverse transcriptase* BAL-31 nuclease* X exonuclease* SI nuclease* DNA polymerase I* DNase I* Polynucleotide kinase* Terminal transferase